Vasa Vasorum of ascending aorta arises from ?
1. Left coronary artery
2. Anterior interventricular artery
3. Posterior interventricular artery
4. Left atrium

Correct answer: 1. Left coronary artery

Explanation: Clinical anatomy"Both coronary arteries supply vasa vasorum of ascending aorta" "Coronary arteries are vasa vasorum of ascending aorta" Vasa vasorum of ascending aorta and arch of aorta arise from :i) Coronary arteries (at their ostia).ii) Brachiocephalic trunk.iii) Bronchial artery.Vasa vasorum of descending aorta arise from':i) Intercostal arteries (thoracic part).ii) Lumbar and mesenteric arteries (abdominal part).